Which human infection spreads through urine:
1. Lep tospira
2. Legionella
3. Plague
4. Diphtheria

Correct answer: 1. Lep tospira

Explanation: Ans. (a) Leptospira Ref Sec below Disease Mode-of Infection Leptospira I Water contaminated by the urine of carrier animals enter the body through cut or abrasions on the skin or through intact mucosa of mouth, nose or conjunctiva. Legionella Inhalation of aerosols produced by AC, cooling towers. Plague Bite of rat flea, droplet infection Diptheria Droplet infection